Electrical alternans in ECG is characteristic of
1. Severe bronchial asthma
2. Pericardial effusion
3. Severe LVF
4. AR

Correct answer: 2. Pericardial effusion

Explanation: Electrical alternans is an electrocardiographic phenomenon defined as an alternating amplitude or axis of the QRS complexes in any or all leads. It is most commonly associated with a large pericardial effusion and impending threat of cardiac tamponade Ref Davidson 23rd edition pg 467